One of the following is a stupefying agent
1. Atropine
2. Aconite
3. Datura
4. Nerium

Correct answer: 3. Datura

Explanation: Examples of stupefying poisons : Alcohol dhatura cannabis chloral hydrate